The test of choice to detect perivalvular abscess of aortic valve is -
1. MRI of the heart
2. Transosophageal ECHO with Doppler
3. Ventriculography
4. CT Chest

Correct answer: 2. Transosophageal ECHO with Doppler